Intracellular sorting and packing done by
1. ER
2. Golgi apparatus
3. Ribosome
4. Cytoplasm

Correct answer: 2. Golgi apparatus

Explanation: The Golgi apparatus plays two major roles in protein synthesis. First, it is involved in the processing of the oligosaccharide chains of membrane and other N-linked glycoproteins and also contains enzymes involved in O-glycosylation.Second, it is involved in the sorting of various proteins prior to their delivery to their appropriate intracellular destinations.All parts of the Golgi apparatus participate in the first role, whereas the trans-Golgi network (TGN) is particularly involved in the second and is very rich in vesicles.Ref: Harper 30th edition pg: 608